In postductal coarctation of aorta, collaterals may be formed by all of the following, except
1. Vertebral artery
2. Suprascapular artery
3. Subscaular artery
4. Posterior Intercostals artery

Correct answer: 1. Vertebral artery

Explanation: In post-ductal coarctation of the aorta, an extensive collateral circulation develops involving the branches of subclavian & axillary arteries with the distal arteries given by aorta Vertebral artery does not play a significant role in this collateral circulation. Ref: Gray's 40e/p984